Not true about the shunt vessel is
1. It controls temperature regulation
2. It is direct communication between artery and vein
3. It is under control of local mediators
4. It is not under autonomic control

Correct answer: 4. It is not under autonomic control

Explanation: Shunt vessels are under the vaso constructive action of sympathetic nervous system, under the sympathetic control the shunt vessel able to close completely, diverting the blood into normal pathway. Ref: Gray's 39e/p112-127